The incidence of malaria in an area is 20, 20, 50, 56, 60, 5000, 678, 898, 345, 456. Which of these methods is the best to calculate the average incidence?
1. Arithmetic mean
2. Geometric mean
3. Median
4. Mode

Correct answer: 3. Median

Explanation: In the given question, * Since extreme values (outliers) are present for incidence (20 and 5000), median will be the most suitable measure of central tendency. Incidence of malaria in an area is 20, 20, 50, 56, 60, 5000, 678, 898, 345, 456 And, incidence in ascending order is 20, 20, 50, 56, 60, 345, 456, 678, 898, 5000 Mean = a'/n = 7583/10 =758.3 Median = Mean (average)of 5th and 6th value = (60 + 345)/2 = 202.5 Mode = 20 Mean will not be an appropriate measure of central tendency since extreme values (outliers) are present.